A 28-year-old boy met with on accident and sustained severe crush injury. He is most likely to develop:
1. Acute Renal Failure
2. Hypophosphatemia
3. Hypercalcemia
4. Acute Myocardial Infarction

Correct answer: 1. Acute Renal Failure

Explanation: Acute Renal failure is an established complication of crush syndrome with myoglobin causing blockage of kidney tubules.